A neonate with doughy soft lump in neck causing distortion of face and audible grunt. Diagnosis is:
1. Cystic hygroma
2. Brachial cyst
3. Sternocleidomastoid Tumor
4. Birth injury

Correct answer: 1. Cystic hygroma

Explanation: Ans. (a) Cystic hygroma.* Cystic hygroma is a form of Lymphangioma caused by benign aberrant development of lymphatics and presents at birth with airway obstruction.* Imaging with USG, CT scan or MRI can identify the extent of lesion and surgery is required. (EXIT Procedure). Doxycycline, ethanol and sildenafil are Sclerosants and sclerotherapy can be done.* Sternocleidomastoid tumor is seen after a traumatic birth and leads to lump in neck with torticollis.* Brachial cyst is small and located on anterior border of sternocleidomastoid and does not cause respiratory compromise.Image source. style="font-size: 1.04761904761905em; color: rgba(0, 0, 0, 1); font-family: Times New Roman, Times, serif; margin: 0">